False about customs-
1. Laws are inspired by customs
2. starting point is convention
3. Followed by only primitive societies
4. Customs are powerful

Correct answer: 3. Followed by only primitive societies

Explanation: customs are numerous and powerful.The starting point of custom is convention.Laws are generally custom inspired.The highly developed societies of the modern world are just as replete with social customs as the primitive societies of the past. Ref:(p.727) 25TH edition Park's textbook of preventive and social medicine